HILL'S criteria of causal association are all Except
1. Specificity of association
2. Sensitivity
3. Consistency
4. Coherence

Correct answer: 2. Sensitivity

Explanation: Bradford Hill & others pointed out that the likelihood of a causal relationship is increased by the presence of the following criteria :Temporal AssociationStrength of AssociationSpecificity of AssociationConsistency of AssociationBiological PlausibilityCoherence of Association